Hyperkinetic syndromes such as chorea and athetosis are usually associated with pathological changes in
1. Motor areas of cerebral cortex
2. Anterior hypothalamus
3. Pathways for recurrent collateral inhibition in the spinal cord
4. Basal ganglia complex

Correct answer: 4. Basal ganglia complex